The following are complications of gallstone except
1. Hemobilia
2. Cholangitis
3. Biliary enteric fistula
4. Acute pancreatitis

Correct answer: 1. Hemobilia

Explanation: Hemobilia is bleeding from liver or gall bladder into the biliary tree due to an abnormal communication between a blood vessel and a bile duct.it is very rare in case of gallstones.It is commonly iatrogenic or due to accidental trauma. Cholangitis and pancreatitis are important complications of gallstones along with cholecystoduodenal /enteric/Choledochal fistula. Reference:SRB's manual of surgery,5th edition,page no:662.